Which of these is true regarding CML :
1. Size of splenomegaly indicates prognosis
2. Phagocytic activity of WBC is reduced
3. Sudan black stain is specific for myeloblast
4. Myeloblast, granuloblast and lymphoblast become PH chromosome +ve. -ve following remission

Correct answer: 1. Size of splenomegaly indicates prognosis

Explanation: Answer is A (Size of splenomegaly indicates prognosis) Splenomegaly or size of enlarged spleen is used as a prognostic indicator in CML as part of the 'Sokal index'. Sokal index: Prognosis in CML -- % of Circulating blasts Spleen size Platelet count Age Cytogenetic clonal evaluation In CML, the dominant cell lines in the peripheral blood and bone marrow are -- myelocytes, metomyelocytes and granulocytes. The Philadelphia chromosome is present in all these cell lineages and remains detectable even after remission of the CML Phagocytic functions are usually normal at time of diagnosis and remain normal during the chronic phase-Harrison Remember Leucocyte alkaline phosphatase is characteristically Low Q in CML. (-) Serum levels of vit B p and vit Bp binding proteins are Ted Q Myeloblastic cells are Sudan black positive.